Hypocalcemia in immediate post - op period following excision of parathyroid adenoma is due to ?
1. Stress
2. Increased uptake by bones
3. Hyper calciuria
4. Increased calcitonin

Correct answer: 2. Increased uptake by bones

Explanation: Ans. is 'b' i.e., Increased uptake by bones